Which one of the following is of highest predictive value in the morbidity of coronary heart disease
1. Lipoprotein A
2. Apolipoprotein B
3. Apolipoprotein A
4. Low density lipoprotein

Correct answer: 2. Apolipoprotein B